True is all except
1. Renin - liver
2. Renin- kidney
3. Renin substrate - liver
4. ACE- lung endothelium

Correct answer: 1. Renin - liver

Explanation: A i.e. Renin - liver